A middle aged man comes to OPD with paraesthesia of hands and feet, hyperkeratosis of palms, rain drop ptgmentation and transverse lines on nails. Most likely the person is having:
1. Arsenic poisoning
2. Lead poisoning
3. Cadmium poisoning
4. All

Correct answer: 1. Arsenic poisoning

Explanation: A i.e. Arsenic poisoning